Which of the following vitamins is used to increase the HDL levels?
1. Folic acid
2. Nicotinic acid
3. Thiamine
4. Pyridoxine

Correct answer: 2. Nicotinic acid

Explanation: Nicotinic acid raises the HDL levels. The exact mechanism of action is still not known. The use of niacin for hyperlipidemia is limited by dilatation of blood vessels and flushing, along with skin irritation.